Antibodies in newborns are maximally absorbed from:-
1. Duodenum
2. Jejunum
3. Ileum
4. Colon

Correct answer: 3. Ileum

Explanation: Part of intestine Ions absorbed Duodenum Jejunum Ileum Cl- . HCO-3, Ca2+, Fe2+ Cl-, HCO-3 Maternal antibodies, bile salts, vit. B12, Mg2+